Brodmann's area number for motor area
1. 4 & 6
2. 1, 2, 3
3. 5 & 7
4. 16 & 18

Correct answer: 1. 4 & 6

Explanation: The cerebral hemisphere is divided into several areas, called Brodmann Areas. Each cerebral hemisphere contains a total of '47' such areas. The area between central sulcus and precentral sulcus is called pre-central gyrus; the motor area of the brain (Brodmann area 4).Ref: Textbook of physiology, Dir. Prof. AK Jain, 5th edition